Not true about acdes mosquito
1. Boat shaped eggs
2. Also knows as tiger mosquito
3. Larvae has siphon tube
4. Has stripes on body

Correct answer: 1. Boat shaped eggs

Explanation: Eggs are cigar shaped.